Organ of locomotion in bacteria is
1. Fimbria
2. Flagella
3. Capsule
4. Cell wall

Correct answer: 2. Flagella